Percentage of Gall stones that are radiopaque are
1. 10-20%
2. 30-40%
3. 50-60%
4. 70-80%

Correct answer: 1. 10-20%

Explanation: Ans. (a) 10-20%Ref: Bailey and Love 27th edition Page 1190* Plain X ray will show Radio opaque Gallstones- 10% of patients* Rarely the centre of stone may have Radiolucent Gas in Triradiate or Biradiate Fissure having dark shapes known as "Mercedes Benz Sign or Seagull Sign "* Porcelain Gallbladder is calcified gallbladder.